The supervision of a child's development of occlusion is most critical at ages?
1. 3 - 6 years
2. 7 - 10 years
3. 11 - 14 years
4. 14 - 17 years

Correct answer: 2. 7 - 10 years